Leber cells are most commonly seen in
1. Vernal keratoconjunctivitis
2. Phlyctenular conjunctivitis
3. Ophthalmianeonatorum
4. Trachoma

Correct answer: 4. Trachoma

Explanation: Leber cells are mainly seen in trachoma Follicles: * Conjunctival follicles multiple discrete resembling grains of rice , blood vessels run across or around. * Subepithelial lymphoid germinal centres with histiocytes, monocytes and large nucleated cells called leber cells with immature lymphocytes centrally and mature cells peripherally. * Leber cells and necrosis is mainly seen in trachoma. * Causes: Viral & chlamydial conjunctivitis PseudoMembrane * Adenoviral * Gonococcal * Ligneous * Steven jhonson Pappilla * IN PALPEBRAL CONJUNCTIVA &Limbal bulbar conjunctiva * Vascular core is present * Hyperplastic conjunctival epithelium with vascular core * Bacterial conjunctivitis , allergic conjunctivitis, marginal conjunctivitis, contact lens wear